Scrub typhus is positive for
1. OX K
2. OX 2
3. OX K and OX 19
4. OX 19 only

Correct answer: 1. OX K

Explanation: Scrub typhus aka chigger borne typhus is caused by orientia tsutsugamushi.In a heterephile agglutination test(weil Felix reaction), the sera of scrub typhus patients agglutinated only OX K strain of proteins mirabilis without getting agglutinated with OX 19 and OX 2 ...as some rickettsiae and certain strains like OX K ,OX 19 and OX 2 of proteus share alkali stable carbohydrate antigen Ref: Ananthnarayan and paniker's microbiology 10th edition